Which vaccine is not given in AIDS patients
1. DPT
2. BCG
3. Rabies
4. Measles

Correct answer: 2. BCG